The lawyer who designed the Public Health Act 1848 was ?
1. John snow
2. Edwin Chadwick
3. Joseph Lister
4. William Fan

Correct answer: 2. Edwin Chadwick

Explanation: Ans. is 'b' i.e., Edwin Chadwick o The great cholera epidemic of 1832 led Edwin Chadwick (1800-1890), a lawyer in England, to investigate the health of the inhabitants of large towns with a view to improve the conditions under which they live. o Chadwick's report on "The Sanitary Conditions of the Labouring Population in Great Britain", a landmark in the history of public health, set London and other cities on the way to improve housing and working conditions. o Filth was recognized as man's greatest enemy and with this began an anti-filth crusade, the "great sanitary awakening", which led to the enactment of 'Public Health Act 1948' in England.